CD10 is seen in:
1. ALL
2. CLL
3. GCL
4. CML

Correct answer: 1. ALL

Explanation: CD10 is called as acute lymphoblastic leukemic antigen or CALLA. It is seen in acute lymphoid leukemia.(ref Robbins 8/e p602, 7/e p670)